Shyam, a 50-yr-old male presents with a hard scrotal swelling. All of the following can be done EXCEPT -
1. Testicular biopsy
2. Chest x-ray
3. Inguinal exploration
4. CT abdomen

Correct answer: 1. Testicular biopsy

Explanation: A testicular biopsy (more specifically a trans-scrotal testicular biopsy) is not done, rather is contraindicated.
A suspected scrotal mass is investigated by ultrasonography & on finding a testicular mass, a radical inguinal orchiectomy is done. A trans-scrotal testicular biopsy would breach anatomical barriers and would spread the tumor.